Most characteristic feature of diabetic nephropathy:
1. Kimmelstein Wilson change
2. Armani Ebstein change
3. Focal segmental glomerulosclerosis
4. Membrano proliferative glomerulonephritis

Correct answer: 1. Kimmelstein Wilson change

Explanation: Features of diabetic nephropathy are: - Glomerular lesions like Capillary basement membrane thickening - Earliest & most common change in DM Diffuse mesangial sclerosis - presents as nephrotic syndrome in severe cases Nodular glomerulosclerosis aka Kimmelstiel-Wilson lesion - Pathognomonic of diabetes -Renal vascular lesions, principally arteriolosclerosis -Pyelonephritis, including necrotizing papillitis.